Biochemical aetiology of Alzheimer's disease relates to
1. Serotonin
2. Dopamine
3. Acetylcholine
4. GABA

Correct answer: 3. Acetylcholine

Explanation: Alzheimer's disease is the commonest cause of dementia and it is not treatable disorder. Neurochemically there is a marked decrease in the brain choline acetyltransferase (CAT) with a similar decrease in brain acetylcholinesterase(AchE) (Ref: a short textbook of psychiatry, Niraj Ahuja, 7th edition, pg no.24). The main neurotransmitter implicated in Alzheimer's disease is Acetylcholine.